Hb A 2 concentration in thalassemia trait is ?
1. 1
2. 1-2.5
3. 2.5-3.5
4. > 3-5

Correct answer: 4. > 3-5

Explanation: Ans. is 'd' i.e.,> 3.5 Nestrof test o This test is being widely used in India and other developing countries in thalassemia screening programmes. o The cases which are positive, subjected to HbA2 estimation for confirmation of thalassemia trait.